Which of the following agents do not act GABAA Cl- channel complex receptors?
1. Zopiclone
2. Benzodiazepines
3. Thiopentone
4. Promethazine

Correct answer: 4. Promethazine

Explanation: Zopiclone (non benzodiazepine hypnotics ),benzodiazepine ,thiopentone(barbiturates) all act on GABA-Cl channel ,whereas promethazin is a antihistamine drug that acts on histaminergic receptors which causes high sedation. Ref: KD Tripathio 8th ed.